For cardiopulmonary resuscitation in neonates ratio of chest compression to ventilation is
1. 2:01
2. 3:01
3. 4:01
4. 5:02

Correct answer: 2. 3:01

Explanation: Ans: b (3:1) Ref: Nelson, 18th ed,p. 389; 17th ed,p. 280Chest compression-ventilation relationship Neonate1-8 years> 8 yearsCompression rate120At least 100100Compression to ventilation ratio3:15:115:2Pulse checkUmbilical arteryBrachialcarotidQuestion is a direct pick from the above Table in Nelson.